A patient was admitted epidural anaesthesia with 15 ml of 1.5%. Lignocaine with adrenaline for hernia surgery. He devoled hypotension and respiratory depression within 3 minutes after administration of block. The most common cause would be:
1. Allergy to drug administered
2. Systemic toxicity to drug administered
3. Patient got vasovagal shock
4. Drug has entered the subarachnoid space

Correct answer: 4. Drug has entered the subarachnoid space

Explanation: D i.e. Drug has entered the sub arachnoid space